Which of the following order is true about toxicity of mercury
1. Organic salts > mercuric salts> mercurous salts
2. Mercuric salts> organic salts> mercurous salts
3. Mercuric salts > mercurous salts> organic salts
4. Mercurous salts > organic salts> mercuric salts

Correct answer: 1. Organic salts > mercuric salts> mercurous salts

Explanation: There are 3 forms of mercury :- 1. Organic - most toxic 2. Mercuric- intermediate 3. Mercurous -least toxic